Organism not invading intact cornea
1. Gonococci
2. C. diphtheriae
3. Meningococci
4. Pseudomonas

Correct answer: 4. Pseudomonas

Explanation: Answer- D. PseudomonasThe organisms which can penetrate intact corneal epithelium are Neisseria gonorrhoea, Haemophilus aegyptus, corynebacterium diphthriae, Listeria species and Neisseria meningitidis.